Delusions are seen in all the following except :
1. Obsessive compulsive disorder
2. Depression
3. Mania
4. Schizophrenia

Correct answer: 1. Obsessive compulsive disorder

Explanation: A. i.e. OCD